Which of the following oral hypoglycemic agent is preferred in obese patients?
1. Tolbutamide
2. Glipizide
3. Gliclazide
4. Metformin

Correct answer: 4. Metformin

Explanation: Metformin doesn't cause weight gain. It may rather cause weight loss. So, it is preferred in obese patients.